Certolizumab is used in the treatment of :
1. Multiple Sclerosis
2. Colorectal Carcinoma
3. Crohn's disease
4. SLF2

Correct answer: 3. Crohn's disease

Explanation: Certolizumab is a monoclonal antibody against TNFα used for Crohn's disease.